The ideal method of representation of frequency distribution with continuous variable:
1. Line diagram
2. Histogram
3. Simple bar diagram
4. Component bar diagram

Correct answer: 2. Histogram

Explanation: Histogram